30 years old female presents in gynaec OPD with complaints of recurrent abortions and menorrhagia. Her USG showed 2 sub-serosal fibroids of 3 x 4 cm on anterior wall of uterus and fundus, which is best line of management:-
1. TAH with BSO
2. Myolysis
3. Myometomy
4. Uterine artery embolisation (UAE)

Correct answer: 3. Myometomy

Explanation: Laparoscopic myomectomy is best treatment for such young infertile patients The laparoscopic approach can be done when 3 fibroids of cumulative size of 15 cm is present or for a single Fibroid of 15 cm is present. This case is ideal for such a procedure Uterine Artery embolisation may result in compromised blood flow after and maybe associated with infertility and placental insufficiency in pregnancy